Incidence of disease among exposed minus that of non exposed is equal to -
1. Relative risk
2. Attributable risk
3. Odd ratio
4. None of the above

Correct answer: 2. Attributable risk

Explanation: Attributable risk indicates to what extent the disease under study can be attributed to the exposures. It is often expressed as a percent (refer pgno:78 park 23 rd edition)